Fastest acting nondepolarizing neuromuscular blocker-
1. Rocuronium
2. Pancuronium
3. Succinylcholine
4. Mivacurium

Correct answer: 1. Rocuronium

Explanation: Rocuronium has onset of action at 1mg/kg 90 seconds Rocuroniumis the muscle relaxant of choice for day-care surgery. intermediate-acting muscle relaxant with a rapid onset (90 s). Rapacuronium has onset of action 75 secs but it is not in clinical use. Rest all nondepolarising neuromuscular blocker has onset of action - 3-5 minutes